To reduce mortality by CHD, best strategy ?
1. Primordial prevention
2. Secondary prevention
3. Tertiary prevention
4. None

Correct answer: 1. Primordial prevention

Explanation: Ans. is 'a' i.e., Primordial prevention Best way to prevent mortality from any disease is to prevent the development of disease. In case of CHD, primordial prevention is best strategy, which mainly concerns with life style changes.